Early reaction of lepromin test is read at:
1. 24 hours
2. 36 hours
3. 48 hours
4. 72 hours

Correct answer: 3. 48 hours

Explanation: Early reaction to lepromin test is known as Fernandez reaction. It is read after 48 hours of injecting lepromin. The reaction is a result of delayed hypersensitivity reaction to soluble constituents of the leprosy bacilli. Ref: Park 21st edition, page 294.